Sun-ray appearance is characteristic of
1. Osteoclastoma
2. Osteosarcoma
3. Ewing's sarcoma
4. Osteoid osteoma

Correct answer: 2. Osteosarcoma

Explanation: Osteosarcoma is the second most common, and a highly malignant primary bone tumour. Sun-ray appearance: In X-ray, as the periosteum is unable to contain the tumour, the tumour grows into the overlying soft tissues. New bone is laid down along the blood vessels within the tumour growing centrifugally, giving rise to a 'sun-ray appearance' on the X-ray. Reference: Maheshwari; Essential Orthopaedics; 9th ed Page no: 240